Which is not true about laryngomalacia?
1. Omega-shaped epiglottis
2. Stridor increases on crying, but decreases on placing the child in prone position
3. Most common congenital anomaly of the larynx
4. Surgical management of the airway by tracheostomy is the preferred initial treatment

Correct answer: 4. Surgical management of the airway by tracheostomy is the preferred initial treatment

Explanation: Laryngomalacia It is the M/C congenital anomaly of the larynx It is the M/C condition causing inspiratory stridor afterbirth. The stridor worsens during sleep and when baby is in supine position (not in prone position). Rather when the child is placed in prone position it is relieved. On laryngoscopy - Epiglottis is omega shaped and aryepiglottis folds are floppy. Treatment Conservative Management